Widely accepted theory of dental caries
1. Proteolytic theory
2. Proteolytic chelation theory
3. Acidogenic theory
4. Autoimmune theory

Correct answer: 3. Acidogenic theory